Which one of the following is not a pyridoxine dependent disorder –
1. Homocystinuria
2. Methyl–malonic–acidemia
3. Cystathioninuria
4. Xanthurenic aciduria

Correct answer: 2. Methyl–malonic–acidemia

Explanation: For methyl malonic acidemia, Vit B1, isgiven.
I am not sure about option c & d.